Subdural empyema is a complication of all the following conditions except?
1. Frontal Sinusitis
2. Skull vault osteomyelitis
3. Middle ear disease
4. Boil over face

Correct answer: 4. Boil over face

Explanation: d. Boil over face(Ref: Nelson's 20/e p 2936-2948, Ghai 8/e p 563-565)Infections of the sinuses, ear and skull bones can lead to Subdural empyema.